Which of the following about lepromin test is not true?
1. It is negative in most children in first six months
2. BCG vaccination may convert lepra reaction from negative to positive
3. It is a diagnostic test
4. It is an important aid to classify type of leprosy disease

Correct answer: 3. It is a diagnostic test